Vestibular Evoked Myogenic Potential (VEMP) detects lesion of:
1. Cochlear Nerve
2. Superior Vestibular Nerve
3. Inferior Vestibular Nerve
4. Inflammatory Myopathy

Correct answer: 3. Inferior Vestibular Nerve

Explanation: Ans is 'c' i.e. Inferior Vestibular nerve Julie A. Honaker and Ravi N. Sarny Current Opinion in Otolaryngology & Head and Neck Surgery 15 (2007), pp. 330-334 "VEMPs are believed to be a good indicator of saccular and inferior vestibular nerve function in clinical evaluations."- Current Opinion in Otolaryngology & Head and Neck Surgery 15 (2007), pp. 330-334Vestibular-evoked myogenic potential (VEMP)VEMP testing is a relatively noninvasive method to assess patients with vestibular disorders.The VEMPs are short latency electromyograms (EMGs) evoked by high-acoustic stimuli at the ipsilateral ear and recorded via surface electrodes over a tonically contracted SCM.VEMP is a vestibulo-collic reflex whose afferent limb arises from acoustically sensitive cells in the saccule, with signals conducted via the inferior vestibular nerve.VEMP circuit: Sound stimulates the saccule, which activates the inferior vestibular nerve, lateral vestibular nucleus, 11th nerve nucleus, and then the sternocleidomastoid muscle (mostly ipsilaterally).